False regarding papillae of tongue ?
1. Fungiform papillae at tip
2. Circumvallate papillae at base
3. Foliate papillae at back edge
4. Filiform papillae have taste buds at tip

Correct answer: 4. Filiform papillae have taste buds at tip

Explanation: Ans. is 'd' i.e., Filiform papillae have taste buds at tip In tongue, taste buds are grouped in structures called papillae. Taste buds are located in the walls of papillae. There are three types of papillae :- i) Fungiform papillae :- Are especially numerous near the tip and the margins of the tongue. ii) Circumvallate (Vallate) papillae :- These are the largest papillae and are distributed to a V-shaped region near the base of tongue. iii) Foliate papillae :- Confined to the back edge of the tongue. Besides these three types of papillae, there is also a fourth type, the filiform papillae but these have no taste buds.